Linezolid inhibits bacterial protein synthesis by :
1. Binds to the 23S fraction of the 30S ribosome at P site
2. Binds to the 23S fraction of the 50S ribosome at A site
3. Binds to the 23S fraction of the 30S ribosome at A site
4. Binds to the 23S fraction of the 50S ribosome at P site

Correct answer: 4. Binds to the 23S fraction of the 50S ribosome at P site

Explanation: Linezolid : Inhibits bacterial protein synthesis By acting at an early step and a site different from that of other AMAs. Binds to the 23S fraction P site of the 50S ribosome and interferes with formation of the ternary N- formylmethionine-tRNA (tRNAfMet) -70S initiation complex Binding of linezolid distorts the tRNA binding site Overlapping both 50S and 30S ribosomal subunits and stops protein synthesis before it starts